VMA is excreted in urine in:-
1. Alkaptonuria
2. Phenyl ketonuria
3. Diabetic ketoacidosis
4. Pheochromocytoma

Correct answer: 4. Pheochromocytoma

Explanation: VMA - (Vanillyl mantellic acid) which is an excretory product of catecholamine and increased in pheochromocytoma and neuroblastoma. Catabolism of catecholamine Enzymes involved are Mono amine oxide (MAO) Catechol-o-methyl transferase (COMT) Catabolic end product of Dopamine Nor- Epinephrine Epinephrine | | | Homo vanillic acid Nor Metanephrine Metanephrine So, we say VMA is the catabolic end product of two catecholamine - Epinephrine and Nor-Epinephrine For the diagnosis of Pheochromocytoma and neuroblastoma VMA levels are checked and the normal levels are 2-6 mg/24 hr urine sample.